Aquaporins are not seen in:
1. Kidney
2. Lacrimal gland
3. Spleen
4. None of the above

Correct answer: 4. None of the above

Explanation: Aquaporins are integral membrane proteins, expressed in different regions of the body. For example Aquaporin 1 and 2 are seen in the kidney, aquaporin 5 in lacrimal glands, aquaporin 9 in human leukocye, liver lung and spleen. Their main function is to transport water across cell membranes in response to osmotic gradients. Ref: Ganong's Review of Medical Physiology, 21st Edition, Page 247